True about Penicillin G
1. It can be given orally
2. It is has broad spectrum activity
3. Used for treatment rat bite fever
4. Probenecid given along with PnG decrease its direction of action

Correct answer: 3. Used for treatment rat bite fever

Explanation: Ans. c. Used for treatment of rat bite fever Penicillin G MOA: It inhibits cell wall synthesis b.y interfering with the transpeptidation reactiondeg. b-lactam antibiotics and are used in the treatment of bacterial infections caused by susceptible, usually Gram-positive, organisms. Acid-labile, destroyed by gastric acid, so not given by oral route. Probenecid is given along with Penicillin G, increase its action because it has high affinity for the tubular OATP, so it blocks the transport of penicillin and increase its efficacy. Probenecid also decreases volume of distribution of penicillin G. DOC for: Anthrax Actinomycosis Trench mouth Rat bite fever